Most common site for nasopharyngeal carcinoma
1. Anterosuperior wall
2. Nasal septum
3. Vault of nasopharynx
4. Fossa of Rosenmuller

Correct answer: 4. Fossa of Rosenmuller

Explanation: NASOPHARYNX (EPIPHARYNX) Lateral wall:- Each lateral wall presents the pharyngeal opening of eustachian tube situated 1.25 cm behind the posterior end of inferior turbinate. It is bounded above and behind by an elevation called torus tubarius raised by the cartilage of the tube. Above and behind the tubal elevation is a recess called fossa of Rosenmuller, which is the commonest site for origin of nasopharyngeaal carcinoma. Ref:- Dhingra; pg num:-239,240